National target of one village health guide is for population of:
1. 1000
2. 5000
3. 10000
4. 50000

Correct answer: 1. 1000

Explanation: The Village Health Guides Scheme was introduced on 2nd October 1977 with the idea of securing people's participation in the care of their own health. The scheme was launched in all states except Kerala, Karnataka, Tamil Nadu, Arunachal Pradesh and Jammu and Kashmir which had alternative systems of providing health services at the village level. Its training programme is being continued to achieve the national target of one Health Guide for each village or 1000 rural population. Ref: Park's textbook of Preventive and Social Medicine, 19th edition, Page 701.